Which of the following is an SGLT 2 inhibitor approved for treatment of type 2 diabetes Mellitus
1. Dulaglutide
2. Pramilintide
3. Canagliflozin
4. Nateglinide

Correct answer: 3. Canagliflozin

Explanation: Canagliflozin, empagliflozin, dapagliflozin, remogliflozin are sglt 2 inhibitors approved for treatment of type 2 diabetes Ref Harrison 20th edi page no 2866, table 397-5